Granulocytopenia, gingival hyperplasia and facial hir–sutism are all possible side effects of one of the following anticonvulsant drugs ?
1. Phenytoin
2. Valproate
3. Carbamazepine
4. Phenobarbitone

Correct answer: 1. Phenytoin